The cyst which arises from the remnants of mesonephric duct and is seen in the vaginal wall is:
1. Bartholin's cyst
2. Inclusion cyst
3. Endometriotic cyst
4. Gartner's duct cyst

Correct answer: 4. Gartner's duct cyst

Explanation: Gartner's duct cyst is a benign vaginal cyst that originates from the Gartner's duct, which is a vestigial remnant of the mesonephric duct (wolffian duct) in females. Treatment is simple excision.